50 yr old female presented with lump in right breast. She was diagnosed having Luminal A carcinoma. All are true about this cancer except ?
1. M/C subtype
2. Best prognosis
3. ER/ PR negative
4. Response poor to paclitaxel

Correct answer: 3. ER/ PR negative

Explanation: Luminal A breast cancer Seen in elderly females M/c subtype ER/ PR positive Her 2 /Neu negative Low proliferation rate Ki 67 : low Best prognosis among subtypes Responsive to hormonal chemotherapeutic agents like tamoxifen and aromatase inhibitors, Respond poorly to non- hormonal chemotherapy drugs like paclitaxel. Immunohistochemistry staining of a tissue biopsy specimen of luminal type A breast cancer: